Most common site of colonization of Staph.Aureus
1. Axilla
2. Skin
3. Groin
4. Anterior nares

Correct answer: 4. Anterior nares

Explanation: Anterior nares is most common site followed by skin, perineum, axilla and groins.